Presence of spiral grooves in the barrel of weapon is referred to as ?
1. Rifling
2. Incendiary
3. Cocking
4. None of the above

Correct answer: 1. Rifling

Explanation: Ans. is 'a' i.e., Rifling Type of firearm weapons Bore (caliber) is the inner diameter of barrel. Based on inside of barrel (i.e., bore), the firearm weapons are divided into:? Smooth bore weapons : Barrel or bore is smooth inside, e.g., shot gun, muskets, and muzzle loaders. Rifled weapons : Barrel or bore is rifled from inside, i.e., has longitudinally twised grooves. Example are : Pistals, rifles and revolvers. Pistals and revolvers are small, so referred to as hand guns.